Shortest acting Benzodiazepine ?
1. Diazepam
2. Midazolam
3. Alprazolam
4. Chlordiazepoxide

Correct answer: 2. Midazolam

Explanation: Ans. is 'b' i.e., Midazolam Ajay Yadav 4th/e p. 85] o Midazolam is the shortest acting benzodiazipine. It is 3 times more potent than diazepam. Midazolam is now very commonly used BZD in intraoperative period. Advantages of midazolam over diazepam are : Water based preparation, so injection is painless. Elimination half life is 2-3 hours, so can be safely used for day care procedures. Reversal with flumezanil is complete (no resedation). Disadvantages are that decrease in BP and peripheral vascularresistance, respiratory depression and incidence of apnea are higher and more profound than diazepam